Lacy white lesion in mouth with pterygium is seen in :
1. Psoriasis
2. Ptirysis alba
3. Lichen planus
4. Leprosy

Correct answer: 3. Lichen planus

Explanation: C. Lichen planus